Cell-matrix adhesions are mediated by
1. Cadherins
2. Integrins
3. Selectins
4. Calmodulin

Correct answer: 2. Integrins